Erythrasma is caused by ?
1. Comybacterium
2. Staphylococcus
3. Streptococcus
4. Herpes Virus

Correct answer: 1. Comybacterium

Explanation: Ans. is 'a' i.e., Cornybacterium Erythrasma is a skin disease that causes brown, scaly skin patches. It is caused by the Gram-positivebacterium Corynebacteriumminutissimum. It is prevalent among diabetics and the obese, and in warm climates; it is worsened by wearing occlusive clothing.